Primary feature of small intestinal obstruction ?
1. Fever
2. High peristalsis with colic
3. Abdominal distension
4. Empty rectum

Correct answer: 2. High peristalsis with colic

Explanation: Ans. is 'b' i.e., High peristalsis with colic